Most common complication of end colostomy is
1. Obstruction
2. Prolapse
3. Parastomal hernia
4. Dermatitis

Correct answer: 3. Parastomal hernia